Upper limit of urinary mercury attributed to extensive amalgam restoration
1. 1 μg/g of creatinine
2. 3 μg/g of creatinine
3. 2 μg/g of creatinine
4. 4 μg/g of creatinine

Correct answer: 4. 4 μg/g of creatinine